For which of the following enzymes, thiamine pyrophosphate (TPP) acts as Cofactor
1. Pyruvate Dehydrogenase
2. Alpha Ketoglutarate dehydrogenase
3. Branched chain ketoacid dehydrogenase
4. All of the above

Correct answer: 4. All of the above